A 16 year old girl was brought to the psychiatric emergency after she slashed her wrist in an attempt to commit suicide. On enquiry her father revealed that she had made several such attempts of wrist slashing in the past, mostly in response to trivial fights in her house. Further she had marked fluctuations in her mood with a pervasive pattern of unable interpersonal relationship. The most probable diagnosis is
1. Borderline personality disorder
2. Major depression
3. Histrionic personality disorder
4. Adjustment disorder

Correct answer: 1. Borderline personality disorder

Explanation: Self inflicted injury, suicidal attempt, unstable mood (fluctuating mood) and unstable interpersonal relationship suggest the diagnosis of borderline personality disorder.